Breast Ca is not a/w -
1. BRCA 1 & BRCA 2
2. Apocrine metaplasia
3. Atypical ductal hyperplasia
4. All

Correct answer: 2. Apocrine metaplasia

Explanation: Ans. is 'b' i.e., Apocrine metaplasiao Apocrine metaplasia and fibroadenoma (without atypical features) do not increase the risk of breast cancer.o Atypical epithelial hyperplasia moderately increases the risk and moderate to florid epithelial hyperplasia slightlyincreases the risk for breast carcinoma.o Mutations in BRCA 1 and BRCA2 are associated with breast cancer.